In tuberculosis, the cytokine playing major role in the conversion of tissue macrophages in to epithelloid cells -
1. Interferon gamma
2. Tumor necrosis factor
3. Interleukin 12
4. Macrophage chemoattractant protein

Correct answer: 1. Interferon gamma

Explanation: IFNg is an important activator of macrophages Reff : Ananthanarayan & Panikers textbook of microbiology 9th edition pg: 155.